Naegler's reaction is given by -
1. Clostridium bifermentans
2. Cl perfringens
3. Cl sordelli
4. All of the above

Correct answer: 4. All of the above

Explanation: Ans. is i.e., All of the above " Besides Cl perfringens, other bacteria that give a positive Nagler reaction are Cl bifermentans, Cl sordelli and Cl barati